Which of the following disease cannot be diagnosed by amino centesis :
1. Trisomy 21
2. Duchenne's
3. Lesch Nyhan
4. Cleft lip

Correct answer: 4. Cleft lip

Explanation: Cleft lip